Which of the following studies have given coronary risk factor and their relative importance-
1. Framingham study
2. north kerala study
3. Standford study
4. MONICA STUDY

Correct answer: 1. Framingham study

Explanation: since 1951, one of the best known large prospective studies the Framingham study,has played a major role in establishing the nature of CAD risk factors and their relative importance.